Which is the least commonly involved nerve in herpes zoster opthalmicus?
1. Facial nerve
2. Frontal nerve
3. Lacrimal nerve
4. Nasociliary nerve

Correct answer: 1. Facial nerve

Explanation: Herpes Zoster Ophthalmicus is defined as Herpes Zoster involvement of ophthalmic division of trigeminal nerve. Branches of ophthalmic divison are frontal, lacrimal and nasociliary . Of these frontal nerve is most commonly involved. Hence, the least commonly involved nerve is the facial nerve.